Drug of choice for Norwegian scabies
1. permethrin 5%
2. Lindane1%
3. Oral ivermectin
4. Sulphur6%

Correct answer: 3. Oral ivermectin

Explanation: Drug of choice for Norwegian scabies - Oral ivermectin 200ug/kg/dose, two doses 10 days apart. topicals are not effective in the treatment as the crusted plaques will hinder the absorption of topical drugs. iadvl textbook of dermatology page 459